Multiple drug resistance is spread by -
1. Transformation
2. Transduction
3. Mutation
4. Conjugation

Correct answer: 4. Conjugation

Explanation: Ans. is 'd' i.e., Conjugation Drug resistance | | | Mutation Genetic transfer | | |||||Stepwise mutationOne-step mutationTransformationTransductionConjugation||o Not significant resistanceo Penicillino Transmitted by R factoro Resistance to multiple drugsPenicillinStreptomycin